Hyperventilation leads to?
1. Increased CO2
2. Decreased CO2
3. Increased PO2
4. Decreased PO2

Correct answer: 2. Decreased CO2

Explanation: Ans. (b) Decreased CO2Ref: Harrison 19th ed. /1731-32* Hyperventilation leads to carbon dioxide washout. It is usually a feature of type 1 respiratory failure.* Type 1 respiratory failure is defined as a low level of oxygen in the blood (hypoxemia) without an increased level of carbon dioxide in the blood (hypercapnia), and the PaCO2 may be normal or low.* It is typically caused by a ventilation/perfusion (V/Q) mismatch; the volume of air flowing in and out of the lungs is not matched with the flow of blood to the lungs. The basic defect in Type 1 respiratory failure is failure of oxygenation characterized by:PaO2Decreased (< 60 mmHg )PaCO2Normal or Decreased (<50 mmHg )PA-aO2Increased